Which of the following methods for assessment of female fertility during a menstrual cycle can best predict the timing of ovulation?
1. Basal Body Temperature (BBT)
2. Fern Test
3. Spinnbarkeit phenomenon
4. Hormonal study

Correct answer: 4. Hormonal study

Explanation: The best method of assessment of female fertility that allows accurate prediction of ovulation is the measurement of urinary LH surge (Hormonal Test). Ref: Clinical Gynaecological Endocrinology and Infertility By Speroff, 7th Edition, Page 1036; Textbook of Gynecology By DC Dutta, 4th Edition, Page 106 221; Management of Common Problems in Obstetrics and Gynecology By T. Murphy Goodwin, Martin 4. N. Montoro, Laila Muderspach, Subir Roy, 5th Edition, Page 430